Which of the following is not a feature of Pierre-Robin syndrome?
1. Hearing defects
2. Coloboma iris
3. Respiratory distress
4. Mandibular hypoplasia

Correct answer: 2. Coloboma iris

Explanation: Coloboma iris is not a feature of Pierre-Robin syndrome. Feature of Pierre-Robin syndrome: Micrognathia accompanied by a high-arched or cleft palate Tongue normal size; the floor of the mouth is foreshortened Of the children with Pierre-Robin syndrome, 30-50% have Sticker syndrome: Prominent joints, arthritis, hypotonia, hypermobile joints, mitral valve prolapse, hearing loss, and ocular problems(myopia, glaucoma, cataracts, retinal detachment) Pierre-Robin Syndrome: Micrognathia, Retrognathia, Glossoptosis: Micrognathia: small mandible Retrognathia: retracted mandible Glossoptosis/Retroglossoptosis: tongue appears to fall into the throat (retraction of the tongue) Ref: Nelson textbook of pediatrics 21st edition Pgno: 1917